False about Osler's nodes
1. Swellings at fingertips
2. Painless
3. Common in staph aureus endocarditis
4. All the above

Correct answer: 2. Painless

Explanation: Osler's nodes are painful swellings.